Mechanism of action of Temozolomide is :
1. Alkylation of DNA
2. Inhibition of topoisomerase
3. Microtubule inhibition
4. Proteasome inhibition

Correct answer: 1. Alkylation of DNA

Explanation: Temozolomide is an alkylating agent . It is the drug of choice for brain tumors.Other alkylating agents are:* If: Ifosfamide* Bus: Busulfan* Not: Nitrosoureas* Present: Procarbazine* Take: Temozolamide* My: Mephalan, Mechlorethamaide* Cycle: CyclophosphamideTopoisomerase inhibitor is Etoposide.Microtubule inhibitors are Vincristin, Vinblastin.Proteosome inhibitors are Bortezomib.